The most abundant principal fibre group in periodontal ligament is:
1. Horizontal
2. Transeptal
3. Apical
4. Oblique

Correct answer: 4. Oblique